Fencing attitude in dead bodies is caused by and present in:
1. Coagulation of proteins and present in ante-moerm burn
2. Coagulation of proteins and present in post-moerm burn
3. Coagulation of proteins and present in both ante-moerm and post-moerm burn
4. None of the above

Correct answer: 3. Coagulation of proteins and present in both ante-moerm and post-moerm burn

Explanation: Pugilistic Attitude (boxing, fencing or defence attitude): This stiffening is due to the coagulation of proteins of the muscles. This is one of the condition simulating rigor mortis It does not tells anything about the fact that whether thevictim was alive or dead at the time of burning .